Drug used to treat tremors in hyperthyroidism is:-
1. Adrenaline
2. Propranolol
3. Noradrenaline
4. Dopamine

Correct answer: 2. Propranolol

Explanation: Beta blockers like propranolol are used to treat tremors in hyperthyroidism. Cardiac (due to beta1 blockade) Extra cardaic (due to beta 2 blockade) Hypertension Play: Performance anxiety, Pheochromocytoma (after a blockade) Classifical angina The: Thyroid (Hyperthyroidism) Myocardial infarction G: Glaucoma A: Akathisia, Alcohol and Opioid withdrawal M: Migraine prophylaxis Supraventricular arrhythmias E: Essential tremors Chronic CHF Hypertrophic obstructive cardiomyopathy (DOC)